Postmortem caloricity may be seen in all the following causes of death except -
1. Septicemia
2. Barbiturates poisoning
3. Strychnine posisoning
4. Tetanus

Correct answer: 2. Barbiturates poisoning

Explanation: Septicemia, strychinine poisoning and tetanus can cause postmortem caloricity.